Fogarty's catheter is used for
1. Drainage of urinary bladder
2. Parenteral hyperalimentation
3. Removal of embolus from blood vessels
4. Ureteric catheterization

Correct answer: 3. Removal of embolus from blood vessels

Explanation: Fogarty catheter is like a ureteric catheter, with a balloon tip and is introduced until it is deemed to have passed the limit of the thrombus.The balloon is inflated and the catheter is withdrawn slowly with the clot.Ref: Bailey and love 27e pg- 955